Pseudomonal infection should not be cleaned by:
1. Dettol
2. Hypochlorite
3. Chlorine
4. Betadine

Correct answer: 1. Dettol

Explanation: Pseudomonas species grow comparatively well in Dettol.
Cetrimide & dettol have been incorporated in the media for the selective isolation of pseudomonas.